Blockade of neuromuscular transmission by botulinum toxin is an example of:
1. Depolarizing blockade
2. Competitive blockade
3. Presynaptic blockade
4. Postsynaptic blockade

Correct answer: 3. Presynaptic blockade